Mastoid fontanelle after ossification exists in adults as ,
1. Lambda
2. Asterion
3. Bregma
4. Pterion

Correct answer: 2. Asterion

Explanation: The asterion is the point where the parietomastoid, occipitomastoid and lambdoid sutures meet. In infants the asterion is the site of the posterolateral or mastoid fontanelle,which closes at the end of the first year.